Drug-kit B is given at
1. PHC
2. Subcenter
3. CHC
4. FRU level

Correct answer: 2. Subcenter